Aldosterone secretion is increased when there is a fall in
1. Plasma K+
2. Plasma Na+
3. pH of the plasma
4. Angiotensin II levels

Correct answer: 2. Plasma Na+